Prozone phenomenon is a feature is-
1. Tularemia
2. Legionnaires' disease
3. Plague
4. Brucellosis

Correct answer: 4. Brucellosis